Where is thermogenin located?
1. Cytoplasm
2. Lysosome
3. Mitochondria
4. Golgi complex

Correct answer: 3. Mitochondria

Explanation: Thermogenin is uncoupler of oxidative phosphorylation and present in mitochondria